Bile acids are formed from
1. Cholesterol
2. Amino acids
3. Bilirubin
4. Lipoproteins

Correct answer: 1. Cholesterol